what is the most common site of gastrinoma in MEN 1 syndrome
1. Jejunum
2. Ileum
3. Duodenum
4. stomach

Correct answer: 3. Duodenum

Explanation: wall of the first part of duodenum is the most common site of gastrinoma ref : bailey and love 27th ed